HbA2 has
1. a 2 ss 2
2. a 2 g 2
3. a 2 d 2
4. g 2 d 2

Correct answer: 3. a 2 d 2

Explanation: HbA2 contains 2 alpha and 2 delta chains.Adult Hb referred 5as HbA contains 2 alpha and 2 beta chains.Foetal Hb ie HbF contains 2 alpha and 2 gamma chains.Ref: Textbook of medical physiology by N Geetha, 2nd edition, page no. 74